Antidote of choice in acute benzodiazepine toxicity is-
1. Flunitrazepam
2. Naloxone
3. Forced alkaline dieresis
4. Flumazenil

Correct answer: 4. Flumazenil